When ICF and ECF of child become to adult person -
1. 1 year
2. 2 year
3. 3 year
4. 4 year

Correct answer: 1. 1 year

Explanation: Ans. is 'a' i.e., 1 year o Fetus has very high TBW (Total body water) and gradually decrease to approx 75% of BW for term infant,o Preterm infant have higher TBW.o During ist year of life, TBW decrease to approx 60% of body (Equal to adult).o TBW is divided b/w 2 main compartment ICF & ECF. In future ECF is larger then ICF.o By age of 1 year ratio of ICF volume to the ECF volumes. Approches adult level.